The most potent and longest acting anaesthetic agent is :
1. Dibucaine
2. Tetracaine
3. Bupivacaine
4. Lignocaine

Correct answer: 1. Dibucaine